Use of a cone results in films of:
1. Higher contrast
2. Low contrast
3. Less motion
4. Long scale contrast

Correct answer: 1. Higher contrast

Explanation: Ans. Higher contrast